Which hypolipidemic drug can exacerbate the symptoms of gout ?
1. Ezetimibe
2. Gemfibrozil
3. Niacin
4. Simvastatin

Correct answer: 3. Niacin